Rhinocerebral Mucormycosis is present with:
1. Broad spectrum antibiotic use
2. Pregnancy
3. Diabetic ketoacidosis
4. Renal tubular acidosis

Correct answer: 3. Diabetic ketoacidosis

Explanation: - Pt.'s with diabetes or immunocompromised are at risk of invasive Rhinocerebral Mucormycosis - The acidosis causes dissociation of iron from sequestering proteins in serum resulting in enhanced fungal survival & hyperglycemia contributes to risk of mucormycosis through its association with poorly characterised defect in phagocytic function.